Which is true about Watson and Crick base base pairing rule?
1. A-T, C-G
2. A-G, T-C
3. A-C, T-G
4. A-G, T-U

Correct answer: 1. A-T, C-G

Explanation: Ans. is 'a' i.e., A-T, C-G* Watson and Crick analysed and proposed about the structure of DNA. These are the following features of DNA proposed by them# The two strands are complementary and antiparallel* Complementarity# A always hybridizes with T# G always hybridizes with C# Hence if there A on one strand, there is T on the other strand (IF its RNA, there is U on the other strand)# If there is G on one strand, there is C on the other strand# Hence Chargaff stated that in a double stranded structure,* = * = * Being antiparallel# If one strand is 5'3' the other strand is 3'5'* The two strands are oriented in a ladder like fashion. The backbone of the ladder is made up of 3'5' phosphodiester linkages with ribose or deoxy ribose sugar. The steps are made up of hydrogen bonds. There are 2 hydrogen bonds between A and T, 3 hydrogen bonds between G and C